The complications of shoulder presentations are all of the following except :
1. Fetal death
2. Uterine rupture
3. Obstructed labour
4. Shoulder dystocia

Correct answer: 4. Shoulder dystocia

Explanation: In neglected shoulder presentation there is a increased fetal loss due to : Cord prolapse Tonic contraction of uterus /Obstructed labour Rupture of uterus Shoulder dystocia is not a complication of neglected shoulder presentation. Ref: Datta Obs 9e pg 370.